Which muscle of extensor Compartment flexes the elbow ?
1. ECRL
2. ECU
3. Anconeus
4. Brachioradialis

Correct answer: 4. Brachioradialis

Explanation: Ans. is `d' i.e., Brachioradialis